Changes of squamous cell carcinoma are seen in – a) Seborrhoeic keratosisb) Bowen's diseasec) Lichen planusd) DLE
1. abc
2. acd
3. ac
4. bcd

Correct answer: 4. bcd

Explanation: DLE is a premalignant lesion for SCC of skin.